Which of the following inhibits oxidative phosphorylation by inhibiting the transport of ADP into and ATP out of the mitochondrion?
1. Atractyloside
2. 2,4-dinitrophenol
3. Carbon monoxide
4. Rotenone

Correct answer: 1. Atractyloside

Explanation: Atractyloside inhibits oxidative phosphorylation by inhibiting the transporter of ADP into and ATP out of the mitochondrion. Reference: Harper; 30th edition; Page no: 132